All are features of Baers syndrome, except
1. Polyuria
2. Metabolic alkalosis
3. Periodic paralysis
4. Hypertension

Correct answer: 4. Hypertension

Explanation: Bartter's syndrome and Gitelman's' syndrome are characterized by Hypokalemia without Hypertension. Bartter syndrome is a rare inherited defect in the thick ascending limb of the loop of Henle. It is characterized by hypokalemia, alkalosis, and normal to low blood pressure. ref - Harrison's internal medicine 20e pg306-307 , 2096